Corynebacterium diphtheriae can be grown within 6-8 hour on -
1. Potassium tellurite media with iron
2. MacConkey's agar
3. Dorset egg medium
4. Loeffler's serum slope

Correct answer: 4. Loeffler's serum slope